Distal ileum was removed in a 20-year-old girl. Which absorption deficient will be seen?
1. Iron
2. Bile salts
3. Zinc
4. Copper

Correct answer: 2. Bile salts

Explanation: Bile salts Changes seen in Terminal Ileal Resection Unabsorbed fatty acids bind with calcium-Increased concentration of free oxalates (oxalates bind with calcium normally and therefore escape without intestinal absorption)- Free oxalates are absorbed- Oxalate kidney stones Vitamin B12 Malabsorption- Megaloblastic anemia. Bile salts Malabsorption-watery diarrhoea Decreased bile salts in the bile- Cholesterol gall stones Steatorrhea and Malabsorption of fat-soluble vitamins